You are being asked to give your expert opinion as a toxicologist regarding an effective antidote for belladonna poisoning. Which of the following agents would you suggest?
1. Neostigmine
2. Physostigmine
3. Pilocarpine
4. Atropine

Correct answer: 2. Physostigmine

Explanation: - Atropine is obtained from atropa belladonna. - It is non selective muscarinic receptor antagonist Physostigmine is the specific antidote for poisoning with belladonna . It crosses blood-brain barrier and antagonises both central and peripheral actions. Physostigmine sometimes itself induces hypotension, arrhythmias and undesirable central effects. It is therefore employed only as a last resort. Neostigmine does not block the central effect, but is less risky.